Pneumatosis intestinalis is most often seen in –
1. Neonatal necrotising enterocolitis
2. Midgut valvulus
3. Meconium peritonits
4. Neonatal visual perforation

Correct answer: 1. Neonatal necrotising enterocolitis